Platelet adhesion to collagen occurs :
1. Factor VIII
2. Factor IX
3. von Willebrand factor
4. Fibronectin

Correct answer: 3. von Willebrand factor

Explanation: Platelet adhesion to collagen occurs von-Willebrand factor)Endothelial injury allows platelets to contact the underlying extracellular matrix; subsequent adhesion occurs through interactions with von Willebrand factor (vWF), which is a product of normal endothelial cells and an essential cofactor for platelet binding to matrix elements.